Not true about hair cycle:
1. Telogen phase last for 3 months
2. 40% of hair is in anagen at one point of time
3. Catagen is an involutionary period
4. Telogen is the period between catagen and the next anagen

Correct answer: 2. 40% of hair is in anagen at one point of time

Explanation: Ans. b. 40% of hair is in anagen at one point of time.80-90% of hair follicles at a given time are in the anagen phase.Hair follicles undergo a repetitive sequence of growth and the rest, it is known as the hair cycle. Three phases of Hair Cycle are: Anagen, Catagen, and Telogen.Anagen:#Period of active hair growth (determine the final length of the hair).#The entry of a resting hair follicle into anagen is heralded by the onset of mitotic activity in epithelial cells overlying the dermal papilla at the base of the follicle (the secondary epithelial germ).#Under normal circumstances, 80-90% of hair follicles on the human scalp are in anagen at any one time.#It can be identified by the presence of angulated root.Catagen:#At the end of anagen, epithelial cell division declines and ceases, and the follicle enters an involutionary phase known as catagen.#During catagen, the proximal end of the hair shaft keratinizes to form a club-shaped structure and the lower part of the follicle involutes by apoptosis. Clubbing is first seen in catagen and becomes more prominent in telogen phase.#The basement membrane surrounding the follicle becomes thickened and corrugated to form the 'glassy membrane'.Telogen:#It is the time period between catagen and the next anagen.#It lasts for about 3 months.#Club hair is eventually shed through an active process called exogen.#In the human scalp, hair follicles may remain in a state of latency, also known as kenogen, for a prolonged period after the club hair is shed.